Maximum penetrating rays:
1. Alpha
2. Beta
3. Gamma
4. Delta

Correct answer: 3. Gamma

Explanation: Ans. (c) GammaRef.: Essentials of radiological Science 2nd ed. /10* Maximum penetrating is gamma rays, therefore least dangerous. Hence gamma camera is used therapeutically for myocardial perfusion imaging.* Least penetrating is alpha rays, therefore most dangerous